Which of the following drug is NOT used to treat Leishmaniasis -
1. Cyclosporine
2. Ketoconazole
3. Pentamidine
4. Amphotericin B

Correct answer: 1. Cyclosporine

Explanation: Ans. is 'a' i.e., Cyclosporine Drugs used for Leishmaniasis (Kala azar) - Sodium stibogluconate (DOC), Pentamidine, Amphotericin B, Ketoconazole, Miltefosine, Paromomycin, Allopurinol.